1st evidence of calcification of Mandibular canine is seen in
1. 4-5 months
2. 6-8 months
3. 7-9 months
4. 2-3 months

Correct answer: 1. 4-5 months